Acute osteomyelitis can best be distinguished from soft tissue infection by -
1. Clinical examination
2. X-Ray
3. CT scan
4. MRI

Correct answer: 4. MRI

Explanation: Ans. is 'd' i.e., MRI MRI is the best radiographic imaging technique for the identification of abscess and for differentiation between bone and soft tissue infection.